Pheochromocytomas are known to arise from all of the following, except:
1. Adrenal gland
2. Mediastinum
3. Neck
4. Chest wall

Correct answer: 4. Chest wall

Explanation: Answer is D (Chest wall): Pheochromocytomas are not found in the chest wall Pheochromocytomas may be found in the adrenal gland, neck and mediastinum (along the sympathetic chain), abdomen (paraaortic) and urinary bladder. Sites of pheochromocytoma Adrenal gland (most common) Head and Neck Thorax (mediastinum) Intra abdominal (paraaortic) Bladder